Accessory spleen is found at all sites, except:
1. Hilum
2. Presacral area
3. Tail of pancreas
4. Greater omentum, Small bowel mesentery

Correct answer: 2. Presacral area

Explanation: B. i.e. Presacral area